Dose of Warfarin is managed by:
1. INR
2. ESR
3. MAC
4. PAH

Correct answer: 1. INR

Explanation: Ans. A: INR